RA is best diagnosed by?
1. IgA RF\/
2. IgG RF\/
3. IgM RF\/
4. Anti CCP antibody

Correct answer: 4. Anti CCP antibody

Explanation: to establish diagnosis of rheumatoid arthritis are * Clinical criteria * ESR and CRP * Ultrasound or MRI * Rheumatoid factor and anti-citrullinated peptide antibodies DAVIDSON'S 22nd EDITION;PAGE NO 1100